Mediator of acute inflammation not derived from the cell is:
1. Histamine
2. Leukotrienes
3. Cytokines
4. Kinins

Correct answer: 4. Kinins

Explanation: CHEMICAL MEDIATORS OF INFLAMMATION
Aka permeability factors or endogenous mediators of increased vascular permeability.
They are broadly classified into 2 groups:
i. Mediators released by cells.
ii. Mediators originating from plasma.
CHEMICAL MEDIATORS OF ACUTE INFLAMMATION
A. Cell-Derived Mediators
1. Vasoactive amines
Histamine.

5-hydroxytryptamine.
Neuropeptides.

2. Arachidonic acid metabolites (Eicosanoids)
i. Metabolites via the cyclo-oxygenase pathway

Prostaglandins.
Thromboxane A2.
Prostacyclin.
Resolvins.

ii. Metabolites via a lipo-oxygenase pathway

5-HETE.
Leukotrienes.
Lipoxins.

3. Lysosomal components (from PM Ms, macrophages)
4. Platelet-activating factor (PAF)
5. Cytokines

IL-1
TNF-α.
TNF-β.
IFN-γ.
Chemokines.

6. Free radicals

Oxygen metabolites
Nitric oxide

B. Plasma-Derived Mediators (Plasma Proteases)
Products of:
1. The kinin system.
2. The Clotting system.
3. The Fibrinolytic system.
4. The Complement system.